In neonate, intra muscular injection given at -
1. Deltoid
2. Gluteal
3. Thigh
4. Abdomen

Correct answer: 3. Thigh

Explanation: Ans. is 'c' i.e., Thigho Anterolateral aspect of thigh because of leaking of important blood vessel & nerve,o This is preferred site upto 12 month of age.